Dimpling in carcinoma is due to:
1. Edema
2. Contraction of Cooper's ligaments
3. Subdermal lymphangitis
4. Scarring

Correct answer: 2. Contraction of Cooper's ligaments

Explanation: Dimpling: Small depression over skin of breast due to infiltration of ligament of Cooper by carcinoma Puckering: Small fold or wrinkle of skin over the breast due to infiltration of ligament of Cooper by carcinoma Cancer en-cuirasse: Infiltration of breast skin & chest wall with multiple nodules & ulceration by the carcinoma